\r\nWhich of the following is not a fundamental aspect of disaster management?
1. Disaster mitigation
2. Disaster preparedness
3. Disaster response
4. Disaster propagation

Correct answer: 4. Disaster propagation

Explanation: Fundamental aspects of disaster management include disaster mitigation, disaster preparedness, and disaster response. Ref: Park, 21st Edition, Page 736.